A Pt. has ecchymoses and petechiae all over the body with no hepatospleenongaly. All are true except ?
1. Increased megakaryocytes in bone narrow
2. Bleeding into the foints
3. Decreased platelet in blood
4. Disease resolves itslef in 80% of Pt. in 2-6 weeks

Correct answer: 2. Bleeding into the foints

Explanation: Ans. is 'b' i.e., Bleeding into the joints o Petechiae and ecchymoses all over the body with no hepatosplenomegaly suggest Idiopathic thrombocytopenic Purpura (ITP) Hematemesis, melena and bleeding in the joints are unusual (They are seen when there is loss of coagulation factors) More than 80% of cases resolve spontaneously within 1-2 months.